Which of the following is not included in identified goals under Bharat Nirman Scheme?
1. Irrigation
2. Roads
3. Housing
4. Sanitation

Correct answer: 4. Sanitation

Explanation: The identified goals under Bharat Nirman Scheme are meant for improvement of rural infrastructure in six selected areas: Irrigation Roads Housing Water supply Electrification Telecommunications Ref: Health policies and programmes in India, D.K. Taneja 11th edition page: 393